Ectopic uretor opening is not located in
1. Bulbar urethra
2. Prostatic urethra
3. Seminal vesicle
4. Bladder neck

Correct answer: 1. Bulbar urethra

Explanation: Ectopic ureters are almost always associated with ureteric duplication and 10% are bilateral. There is a female:male ratio of 7:1. The ectopic ureter drains the upper pole of the kidney and inserts into the bladder more distally than normal and towards the bladder neck. In females, the ectopic ureter opens either into the urethra below the sphincter or into the vagina. A female who voids normally but who has dribbled urine for as long as she can remember is typical of the patient with an ectopic ureter. In the male, the opening of the ureter is above the external urethral sphincter so the patient is continent. An ectopic ureteric orifice in a male at the apex of the trigone, in the posterior urethra, in a seminal vesicle or in an ejaculatory duct is likely to be functionally abnormal and infection is common. A severely diseased or atrophic moiety is effectively treated by partial nephrectomy. A refluxing ureter may need re-implanting. An ectopic ureter in a female often drains hydronephrotic and chronically infected renal tissue and is best excised. Rarely, the incontinence can be cured and renal function preserved by re-implanting the ureter into the bladder. ( ref : Bailey 27 th ed , chapter 76 , pg 1401 )